Modified Glasgow coma scale defines neurologic impairment in terms of:
1. Pupillary size, level of consciousness and motor function
2. Speech, cardiovascular status a consciousness
3. Sensory, motor function and speech
4. Eye opening, best verbal response and motor function

Correct answer: 4. Eye opening, best verbal response and motor function

Explanation: (D) Eye opening, best verbal response and motor function > Scale comprises three tests: eye, verbal and motor responses. The three values separately as well as their sum are considered.> Lowest possible GCS (the sum) is 3 (deep coma or death), whilst the highest is 15 (fully awake person).> Best eye response (E):> There are 4 grades starting with the most severe:> No eye opening> Eye opening in response to pain. (Patient responds to pressure on the patient's fingernail bed; if this does not elicit a response, supraorbital and sternal pressure or rub may be used.)> Eye opening to speech. (Not to be confused with an awaking of a sleeping person; such patients receive a score of 4, not 3.)> Eyes opening spontaneously> Best verbal response (V):